Lynch syndrome is seen in?
1. Hereditary non polyposis colon cancer
2. Gastric adenocarcinoma
3. Hepatoma
4. Familial polyposis of the colon

Correct answer: 1. Hereditary non polyposis colon cancer

Explanation: Hereditary non polyposis colon cancer Hereditary nonpolyposis colon cancer (HNPCC), also known as Lynch syndrome, is another autosomal dominant trait. It is characterized by the presence of three or more relatives with histologically documented colorectal cancer, one of whom is a first-degree relative of the other two; one or more cases of colorectal cancer diagnosed before age 50 in the family; and colorectal cancer involving at least two generations.